A construction worker falls feet-first from a roof. He sustains a fracture of the groove on the undersurface of the sustentaculum tali of the calcaneus bone. Which of the following muscle tendons is most likely torn?
1. Flexor digitorum brevis
2. Flexor digitorum longus
3. Flexor hallucis brevis
4. Flexor hallucis longus

Correct answer: 4. Flexor hallucis longus

Explanation: The tendon of the flexor hallucis longus muscle occupies first the groove on the posterior surface of the talus and then the groove on the undersurface of the sustentaculum tali. None of the other tendons would have been affected in such an injury.